Ulceration of the vulva is commonly seen in all except:
1. Bacterial vaginosis
2. Syphilis
3. Chancroid
4. Behget's disease

Correct answer: 1. Bacterial vaginosis

Explanation: Vulval ulcers
Vulval ulcers are predominantly due to sexually transmitted diseases. Rarely, it may be due to non-specific causes.
Malignant ulcer is also rare. The various etiological factors related to vulval ulcers are given in the below Table.
Table: Ulcers of the Vulva